Not true about content composition of an Egg is:-
1. 6 grams proteins
2. 6 grams fat
3. 1.5 mg Iron
4. 150 mg Cholesterol

Correct answer: 4. 150 mg Cholesterol

Explanation: Egg composition: - 6g - Fat - 6g - Protein - 30 mg - Calcium - 1.5 mg - Iron - 70 Kcal - Energy - 250 mg - Cholesterol Also remember, egg is Richest sources of cholesterol. Height NPU (Net protein utilization) - 96, hence known as reference protein. Poor In carbohydrates & vit c.